Cobalt 60 is:
1. Naturally occurring radioisotope
2. Artificial radioisotope
3. Product of plutonium
4. Product of uranium

Correct answer: 2. Artificial radioisotope

Explanation: Ans. Artificial radioisotope